Treatment of hyperkinetic syndrome includes
1. Imipramine
2. Methylphenidate
3. Haloperidol
4. Clozapine

Correct answer: 2. Methylphenidate

Explanation: CNS stimulants are the first choice agents in that they have been shown to have greatest efficacy with generally mild tolerable side effect. Excellant safety record is documented fro short and sustained release preparations of Methylphenidate, dextroamphetamine and dextroamphetamine and amphetamine salt combinations. Methylphenidate- 0.3-1 mg/kg tid; upto 60mg/day. Both dexamphetamine and methylphenidate act on the reticular activating system, causing stimulation of the inhibitory influences on the cerebral cortex, thus decreasing hyperactivity and/or distractibility Ref: Synopsis of Psychiatry, 11e, pg 1175. A short textbook of psychiatry, Niraj Ahuja,7th edition, pg no 167